Neurotoxicity is seen with excess of -
1. VitaminB6
2. Vitamin B12
3. Vitamin B2
4. VitaminC

Correct answer: 1. VitaminB6

Explanation: Ans. is 'a' i.e.. Vitamin B6 "There are reports of neurotoxicity of high doses of Vitamin B6 "_________Textbook of environment & nutrition